Arneth count is counting of:
1. Lymphocytes
2. Lobes in neutrophils
3. Granules in eosinophils
4. WBC in bone marrow

Correct answer: 2. Lobes in neutrophils

Explanation: Counting the number of neutrophils with different nuclear lobes and expressing the count as percentage of cells with different number of nuclear lobes is called Arneth count. Clinical significance: The Arneth count is useful in judging the rate of formation of neutrophils. Individuals who have a larger percentage of neutrophils with fewer lobes have a left shift which can be indicative of disease processes such as infection, malignant tumors, hemolytic crises, myocardial infarction, acidosis, etc. Individuals with a larger percentage of neutrophils with more lobes have a right shift and most commonly have diseases such as vitamin B12 or folate deficiency, chronic uremia, liver disease, etc Ref: Textbook Of Medical Physiology By Khurana Page 178